'Fir-tree' type of distribution is seen in?
1. Pityriasis Rosea
2. Psoriasis
3. Measles
4. Secondary syhilis

Correct answer: 1. Pityriasis Rosea

Explanation: A. i.e. Pityriasis rosea